Which organism cannot be cultured in cell-free media
1. Klebsiella rhinoscleromatis
2. Klebsiella ozaenae
3. Treponema pallidum
4. Sporothrix schenckii

Correct answer: 3. Treponema pallidum

Explanation: Treponema cannot be grown in artificial culture media but is maintained by subculture in susceptible animals. Sporothrix is a dimorphic fungus, that form yeast in tissues at 37C and the mycelial phase in the culture at 25C. Klebsiella grows on ordinary media. Reference: Textbook of Microbiology; Ananthanarayan and paniker's; 10th edition; Pg: 379